Ameloblast is
1. A cell from which tooth enamel is formed
2. A tissue from which tooth erupts
3. A tumour of the jaw
4. Pertaining to dentin

Correct answer: 1. A cell from which tooth enamel is formed